Abzyme is a/an:
1. Isoenzyme
2. Abnormal enzyme
3. Antibody with a catalytic activity
4. Allosteric enzyme

Correct answer: 3. Antibody with a catalytic activity

Explanation: Abzyme is antibody acting as enzyme. It is a monoclonal antibody and is also called catalytic antibody or Catmab. Isozymes (Option 1): Physically distinct form of enzyme which catalyses same biochemical reaction. If species are different then isoenzymes are called alloenzymes. Allosteric enzymes (Option 4) or regulatory enzymes, unlike simple enzymes have regulatory/allosteric site ( other than the active site), where the regulator (activator/inhibitor) binds.